Which of the following is true about Facial recess?
1. Medial to vertical part of facial nerve
2. Lateral to horizontal part of facial nerve
3. Medial to horizontal part of facial nerve
4. Lateral to vertical part of facial nerve

Correct answer: 4. Lateral to vertical part of facial nerve

Explanation: ORT Facial recess or posterior sinus is a depression in posterior wall lateral to pyramid. ORT It is bounded medially by the vertical part of Facial nerve, inferiorly by the chorda- facial angle and superiorly by fossa incudis. ORT Surgically, facial recess is important, as direct access can be made through this into the middle ear without disturbing posterior canal wall (Posterior Tympanotomy)